Clergyman knee affects
1. Prepatellar bursa
2. Infrapatellar bursa
3. Olecranon
4. Ischial bursa

Correct answer: 2. Infrapatellar bursa

Explanation: BursitisNamed diseasePrepatellar BursitisHouse Maid's Knee Infrapatellar BursitisClergyman's Knee / Vicars Knee Olecranon BursitisStudents elbow Ischial BursitisWeavers Bottom Lateral Malleolus Bursitis Tailors Ankle Great Toe BursitisBunion (Refer: Mohindra's Fundamentals of Orthopedics, 2nd edition, pg no. 450, 528)